A Child (girl) is suffering from varicella (fever & rash). And child's aunt is pregnant.When is it earliest and safe that the child can meet her aunt
1. When the lesions have crusted
2. Immediately
3. Anytime as the child is aunt 's favourite
4. After the delivery of the baby

Correct answer: 1. When the lesions have crusted

Explanation: Within households,transmission of VZV to susceptible individuals occur at a rate of 65-86%; more casual contact. Patients with varicella are contagious 1-2 days before the rash is evident and until vesicles are crusted(the scabs are not infective unlike small pox)usually 3-7 days after the onset of rash. Reference: Nelson textbook of pediatrics 19th edition Page 1104